Increased calcium levels lead to
1. Increased 1,25 dihydroxycholecalciferol
2. Increased 24,25 dihydroxycholecalciferol
3. Decreased calcitonin
4. Increased parathormone

Correct answer: 2. Increased 24,25 dihydroxycholecalciferol

Explanation: 24,25-dihydroxycholecalciferol; a metabolite in calcium metabolism, formed in the kidney from 25-hydroxycholecalciferol by the activation of a 24-hydroxylase.Ref: Ganong's review of medical physiology; 24th edition; page no:-379